Eye infection in newborn is NOT caused by:
1. Staphylococcus aureus
2. Proteus mirabilis
3. Gonococci
4. Chlamydia

Correct answer: 2. Proteus mirabilis

Explanation: Ans. B i.e. Proteus mirabilis